Radio labelled DNA was allowed to replicate twice in a non-radioactive environment. Which of the following is true?
1. All the strands will have radioactivity
2. Half of the DNA will have no radioactivity
3. No strands will have radioactivity
4. Three-fourth of the DNA replicated will have radioactivity

Correct answer: 2. Half of the DNA will have no radioactivity

Explanation: Ans. B. Half of the DNA will have no radioactivity(Ref: Harper 31/e page 363)Semiconservative Nature of DNA Replication proved by Meselson and Stahl states that half of the parent strand is conserved during replication in the daughter strand.After one replication all the DNA will have radioactivity.After two replication half of the DNA will have radioactivity.